Enbloc resection of the segment of the bone:
1. Complete resection of the jaw bone
2. Resection of half of the affected jaw
3. Resection of the tumor only
4. The entire tumor is removed intact with a rim of uninvolved bone while maintaining continuity of jaw

Correct answer: 4. The entire tumor is removed intact with a rim of uninvolved bone while maintaining continuity of jaw